First sign of puberty in females is?
1. Pubarche
2. Thelarche
3. Menarche
4. Increase in height

Correct answer: 2. Thelarche

Explanation: ANSWER: (B) ThelarcheREF: Nelson Textbook of Paediatrics 17th edition page 1882, http://en.wikipedia.org/wiki/PubertyRepeat in December 2009In girls, the breast bud (Thelarche) is usually the first sign of puberty (10-11 yr), followed by the appearance of pubic hair 6-12 months later. The interval to menarche is usually 2-2.5 yr but may be as long as 6 yr. Peak height velocity occurs early (at breast stage II--III, typically between 11 and 12 yr of age) in girls and always precedes menarche.STAGES OF PUBERTY:Adrenarche -Gonadarche -Thelarche -Pubarche -MenarcheSpermarcheBoth males & femalesBoth males & femalesOnly femalesBoth males 8i femalesOnly femalesOnly males7 years8 years11 years12 years12.5 years11-15 years